Major form of CO2 transport in the body is
1. Dissolved CO2 form
2. As carbamino compounds
3. As bicarbonates
4. None of the above

Correct answer: 3. As bicarbonates

Explanation: There are 3 forms of CO2 transport





Dissolved CO2


10 %
0.4 ml %




As Bicarbonates (HCO3-)


75 %
3 ml %




Carbamino compounds


15 %
0.6 ml %


 
 
4 ml %